A patient complaints of post coital bleed; no growth is seen, on per speculum examination; next step should be :
1. Colposcopy biopsy
2. Conisation
3. Repeat pap smear
4. Culdoscopy

Correct answer: 1. Colposcopy biopsy

Explanation: Ans is a i.e. Colposcopy biopsy Patient is presenting with post coital bleeding, which is a specific symptom of Ca cervix; since there is no visible lesion - colposcopic biopsy is the next line of investigation as it is a diagnostic procedure. Pap smear is only a screening method.